Which of the following is/are benefits of immobilization of a fracture:
1. Reduction in pain
2. Reduced chances of fat embolism
3. Reduced chances of further injury to neurovascular structures
4. All of the above

Correct answer: 4. All of the above

Explanation: Ans. D. All of the abovea. Splinting of the fracture has following benefitsb. It Reduces pain by preventing the muscle spasmc. It Reduces chances of fat embolismd. It Reduces chances of further injury to neurovascular structurese. Transportation of the patient for radiological investigations is mad easy